Inward flow of Na+ in heart leads to
1. Plateu phase
2. Action potential
3. Repolarization
4. No change

Correct answer: 2. Action potential

Explanation: Entry of Na ions into cardiac cell leads to depolarisation. (REF TEXTBOOK OF MEDICAL PHYSIOLOGY GEETHA N 2 EDITION, PAGE NO 52)